In a patient receiving ketogenic diet for epilepsy, which one of the following antiepileptic agents is to be avoided?
1. Sodium valproate
2. Phenytoin
3. Carbamazepine
4. Lamotrigine

Correct answer: 1. Sodium valproate

Explanation: Valproate, and its valproic acid, sodium valproate, and valproate semisodium forms, are medications primarily used to treat epilepsy and bipolar disorder and to prevent migraine headaches. They are useful for the prevention of seizures in those with absence seizures, partial seizures, and generalized seizures Common adverse effects of valproate include nausea, upper abdominal cramps, abnormal liver function, weight gain and diarrhoea. Neurological adverse effects such as tremor, fatigue, sedation, confusion and dizziness are often observed should not be given when patient is on ketogenic diet Ref Harrison20th edition pg 2657